The length of a standard proctoscope is -
1. 4 inches
2. 6 inches
3. 8 inches
4. 3 inches

Correct answer: 1. 4 inches